All are seen in Horner's syndrome EXCEPT:
1. Heterochromia iridis
2. Ptosis
3. Miosis
4. Apparent exophthalmos

Correct answer: 4. Apparent exophthalmos

Explanation: Horner syndrome presents with enophthalmos (and not exophthalmos). - This is due to paralysis of orbitalis muscle which anatomically protrude the eyeball out of the socket. It's paralysis leads to eyeball staying back in the orbit, giving the appearance of sunken eyeball (enophthalmos). Heterochromia iridis may be present if the lesion occurred in a child younger than 2 years (congenital Horner syndrome). C/F of HS Ptosis + Miosis + Anhidrosis +/- Apparent enophthalmos Nasal congestion Conjuctival congestion Skin becomes red Ciliospinal reflex